A patient has been prescribed a drug A by a doctor for treating his hypertension. This drug can cause tachycardia and marked fluid retention. Which of the following can be the drug A?
1. Captopril
2. Guanethidine
3. Minoxidil
4. Metoprolol

Correct answer: 3. Minoxidil

Explanation: (Ref: KDT 6/e p548) Vasodilators can lead to reflex increase in the sympathetic activity. Activation of b1 receptors in the heart can cause tachyacardia and release of renin. Latter can result in retention of salt and water.